Fat is maximally absorbed in :
1. Ileum
2. Colon
3. Stomach
4. Jejunum

Correct answer: 4. Jejunum

Explanation: D i.e. Jejunum